Person is not able look down. Which extra ocular muscle is affected:
1. Superior oblique
2. Inferior oblique
3. Superior rectus
4. Lateral rectus

Correct answer: 1. Superior oblique

Explanation: Ans. (a) Superior obliqueRef: A.K. Khurana 6th ed. / 337-39* The function of superior oblique is quite contrary to its name. Its action is depression of eyeball, which helps to see down.* Its yoke muscle is inferior rectus, which also has the similar function as superior oblique.* There are 9 Gaze:# Primary : Straight# Secondary: Up, down, left, right# Tertiary: Up left, Up, right, Down left, Down right* ACTIONS OF EOMMuscleFunction PrimarySecondaryTertiaryLateral rectusAbduction--Medial RectusAdduction--Inferior RectusDepressionExtortionAdductionSuperior rectusElevationIntortionAdductionInferior ObliqueExtortionElevationAbductionSuperior obliqueIntortionDepressionAbduction* Mnemonics: SinRad (all superior muscles causes Intortion; all rectus muscles causes Adduction EXCEPT Lateral rectus)